Hard Tick transmits
1. KFD
2. Viral encephalitis
3. Tick typhus
4. All of the above

Correct answer: 4. All of the above

Explanation: (D) All of the above ARTHROPODDISEASES TRANSMITTEDMosquitoMalaria, filaria, viral encephalitis (e.g., Japanese encephalitis), viral fevers (e.g., dengue, West Nile, viral haemorrhagic fevers (e.g., yellow fever, dengue haemorrhagic fever)HouseflyTyphoid and paratyphoid fever, diarrhoea, dysentery, cholera, gastroenteritis, amoebiasis, helminthic infestations, poliomyelitis, conjunctivitis, trachoma, anthrax, yaws, etcSandflyKala-azar, oriental sore, sandfly fever, oroya feverTsetse flySleeping sicknessLouseEpidemic typhus, relapsing fever, trench fever, pediculosisRat fleaBubonic plague, endemic typhus, chiggerosis, Hymenolepis diminutaBlackflyOnchocerciasisReduviid bugChagas diseaseHard tickTick typhus, viral encephalitis, viral fevers, viral haemorrhagic fever, (e.g., Kyasanur forest dia tularemia, tick paralysis, human babesiosisSoft tickQ fever, relapsing feverTrombiculid miteScrub typhus, Rickettsial-poxItch-miteScabiesCyclopsGuinea-worm disease, fish tapeworm (D. latus)CockroachesEnteric pathogens